The long and short arms of chromosomes are designated respectively as:
1. p and q arms
2. m and q arms
3. q and p arms
4. l and s arms

Correct answer: 3. q and p arms

Explanation: C i.e. q and p armsThe short arm of chromosome is desingated as 'p' (for petit) and the long arm is refered to as 'q' (the next letter of alphabet)